NSAID induced ulcer are treated by:
1. Antacids
2. H2 blockers
3. Misoprostol
4. PPI (proton pump inhibitors)

Correct answer: 4. PPI (proton pump inhibitors)

Explanation: PPI are DOC for NSAIDS induced ulcer,healing may occur despite continued use use of NSAIDS , higher dose reqiuerd ESSENTIALS OF MEDICAL PHARMACOLOGY SEVENTH EDITION KD TRIPATHI Pg no.652